All of the following are characteristics of case control study except
1. Quick result are obtained
2. Measures incidence rate
3. Proceeds from effect to cause
4. Inexpensive study

Correct answer: 2. Measures incidence rate

Explanation: Disadvantages of case control study Problems of bias relies on memory or past records Selection of an appropriate control group may be difficult Cannot measure incidence and can only estimate relative risk Do not distinguish between cause and associated factors Another major concern representatives of cases and control (refer pgno:74 park 23 rd edition)